Test for β- thalassemia trait -
1. HbA
2
2. HbF
3. Fragility test
4. Coomb's test

Correct answer: 1. HbA
2